Hypercoagulability due to defective factor V gene is called
1. Lisbon mutation
2. Antiphospholipid syndrome
3. Leiden mutation
4. Inducible thrombocytopenia syndrome

Correct answer: 3. Leiden mutation

Explanation: • Mutation in factor V gene is caused by the substitution of glutamine for the normal arginine residue at position 506. It is known as Leiden mutation and it is the most common inherited cause of hypercoagulability.
Note: Lisbon mutation is associated with a mutation in thyroid peroxidase gene.